'Coronary steal' phenomenon is seen with?
1. Verapamil
2. Diltiazem
3. Nicorandil
4. Dipyridamole

Correct answer: 4. Dipyridamole

Explanation: Ans. d (Dipyridamole) (Ref. KDT, Pharmacology, 6th/pg.534)DIPYRIDAMOLE dilates resistant coronary vessels and diverts blood from ischemic zone to non-ischemic zone leading to "coronary steal phenomenon." In patients with suspected ischemic heart disease, Dipyridamole or adenosine can be given to create a coronary "steal" by temporarily increasing flow in nondiseased segments of the coronary vasculature at the expense of diseased segments. Alternatively, a graded incremental infusion of dobutamlne may be administered to increase MV02. The development of a transient perfusion defect with a tracer such as radioactive thallium or 99rnTc sestamibi is used to detect myocardial ischemia.Educational points:# Dipyridamole, Adenosine,Isoflurane =>Coronary steal phenomenon# 1st part of subclavian artery obstruction =>Subclavian steal phenomenon & it is most common site of steosis# Cord A-Malformation =>Spinal cord steal syndrome# New Drugs in Angina =>Trimetazidine and Ronalazine Inhibit fatty acid oxidation pathway# Dipyridamole =>Antianginal having anti-platelet action & Coronary steal# Ranolazine =>Antianginal which blocks I Na current channel# Cilostazol (phosphodiesterase inhibitor) =>Antihypertensive drug with Anti-platelet aggregator + vasodilator effect